What is the bullet wipe?
1. Blackening
2. Residual from barrel of gun
3. Gutter fracture of skull
4. Tattooing

Correct answer: 2. Residual from barrel of gun

Explanation: Ans. (B) Residual from barrel of gun(Ref: Textbook of Forensic Medicine and Toxicology; Principle and Practice 5th Ed; Page No- 89; The Essential of Forensic Medicine and Toxicology 33rd Ed; Page No- 226)Bullet wipe: The dark area around the margins of a bullet hole that can be useful for identifying an entry site (as opposed to an exit site).While examining the clothing of victim of bullet injury, there is a deposition of various residues surrounded the entrance defect at various ranges known as bullet wipe.Typically caused by lubricant, lead, dirt in the bore, and discharge residues.It helps in determining the wounds off inlet and outlet upon the body.